The MOST abundant source of ghrelin is:
1. Gastric fundus
2. Gastric body
3. Gastric pylorus
4. First part of duodenum

Correct answer: 1. Gastric fundus

Explanation: Ghrelin is a 28 amino acid peptide mainly secreted from stomach and the most abundant source is gastric fundus. It also produced from intestine, pancreas, pituitary, kidney, placenta. ACTION: It increases growth hormone secretion It increases food intake It increases weight gain Ref: Sleisenger and Fordtran's, Edition-9, Page-8.